FK-506 is used in -
1. Organ transplant
2. Bronchial asthama
3. Diabetic diarroea
4. Chemotherapecutic agent

Correct answer: 1. Organ transplant

Explanation: Ans. is 'a' i.e., Organ transplant Fk - 506 is tacrolimus.